33 years old alcoholic on ATT presents with increased serum iron & increased transferrin saturation. Diagnosis ?
1. Iron deficiency anemia
2. Sideroblastic anemia
3. Megaloblastic anemia
4. Anemia of chronic disease

Correct answer: 2. Sideroblastic anemia

Explanation: Ans. is 'b' i.e., Sideroblastic anemia This patient is taking anti-tubercular treatment (ATT) which includes INH. o INH can cause pyridoxine deficiency which can result in sideroblastic anemia. o In sideroblastic anemia, serum ferritin, serum iron and transferrin saturation are increased.